Life span of house fly is?
1. 5 days
2. 10 days
3. 1 month
4. 1 year

Correct answer: 3. 1 month

Explanation: The complete life cycle from egg to adult may take 5 to 6 days during summer in India, but at other times it may take 8 to 20 days. Flies do not generally live longer than 15 days in summer and 25 days during winter Eggs - 8 to 24 hours, Larvae - 2 to 7 days, Pupae - 3 to 6 days, Adults 5-20 says. Park's Textbook of Preventive and Social Medicine, 25th Edition, Pg